Necrotizing lymphadenitis is seen in -
1. Hodkin 's disease
2. Kikuchi disease
3. Kimura disease
4. Sarcodiosis

Correct answer: 2. Kikuchi disease

Explanation: Answer is option 2, kikuchi disease Kikuchi-Fujimoto disease (KFD), or histiocytic necrotizing lymphadenitis, is a benign and self-limited disease that mainly affects young women. Patients present with localized lymphadenopathy, fever, and leukopenia in up to half of the cases. KFD can occur in association with systemic lupus erythematosus. We present the case of a patient with KFD and systemic lupus erythematosus, as well as relapsing polychondritis.